Myxoviruses include -
1. measels virus
2. Orthomyxovirus
3. Influenza
4. All of the above

Correct answer: 4. All of the above

Explanation: Myxo virus classified into ohomyxo Miridae, consisting of paramyxovirus, mumps, measles virus REF:
ANATHANARAYANAN MICROBIOLOGY NINTH EDITION PAGE.496